All of the following statements about bronchial circulation are true, except :
1. Contribute 2% of systemic circulation
2. Contribute to gaseous exchange
3. Cause venous admixing of blood
4. Provide nutritive function to lung

Correct answer: 2. Contribute to gaseous exchange

Explanation: Bronchial circulation does not contribute to gas exchange. Ref: The Mechanics of the Circulation By C. G. Caro, T. J. Pedley, R. C. Schroter, W. A. Seed, K. H. Parker, Page 475; Equine Respiratory Medicine and Surgery By Bruce C. McGorum, Padraic M. Dixon, N. Edward Robinson, Page 34; Medical Physiology : Principles for Clinical Medicine By Rodney Rhoades, David R. Bell, Page 371.